Treatment of tension pneumothorax is -
1. Insertion of a large bore needle in the 2nd ICS in the mid clavicular line
2. Fluid Resuscitation
3. Starting Inotropic support
4. Endotracheal Intubation

Correct answer: 1. Insertion of a large bore needle in the 2nd ICS in the mid clavicular line

Explanation: Ans. is 'a' i.e., Insertion of a large bore needle in the 2nd ICS in the mid clavicular line o Treatment consists of immediate decompression, initially by rapid insertion of a large-bore needle into the second intercostal space in the midcalvicular line of the affected hemithorax and then followed by insertion of a chest tube through the fifth intercostal space in the anterior axillary line.